All of the following are true except.
1. E. coli is an aerobe and facultative anaerobes
2. Proteus forms uric acid stones
3. E. coli is motile by peritrichate flagella
4. Proteus causes deamination of phenylalanine to phenylpyruvic acid

Correct answer: 2. Proteus forms uric acid stones

Explanation: Ans. is 'b' i.e., Proteus forms uric acid stones(Ref: Surgical Pathology by Ackermann, p. 1124; Ananthanarayan, 9th/e, p. 274, 282 and 8th/e, p. 270)Uric acid stone formation takes place in acidic urine, in the presence of hyperuricemia which may result from inborn errors of metabolism such as gout or the Lesch-Nyhan Syndrome.Proteus produces ammonia and contributes to alkalinity. It does not thus lead to formation of uric acid stones. The alkalinity leads to necrosis of renal tubular epithelium and precipitation of phosphate stones.The distinctive character of proteus genus is deamination of phenyl alanine to phenyl pyruvic acid (PPA +ve).E. coli are motile by peritrichous flagella.E. coli is an aerobe and facultative anaerobe.